Kehr's sign is related to
1. Liver
2. Stomach
3. Spleen
4. Gall Bladder

Correct answer: 3. Spleen

Explanation: Kehr's sign is the occurrence of acute pain in the tip of the left shoulder due to the presence of blood or other irritants in the peritoneal cavity (splenic rupture). It is an example of referred painReference: Chaurasia Volume II; 7th edition; Page no: 327